Ghon's focus is found in-
1. Leprosy
2. Pulmonary tuberculosis
3. Sarcoidosis
4. Asbestosis

Correct answer: 2. Pulmonary tuberculosis

Explanation: Ans. is 'b' i.e., Pulmonary tuberculosis Ghon's focuso In primary tuberculosis when inhaled tubercule bacilli implanted in the distal air spaces of the lower part of upper lobe or upper part of the lower lobe, close to the pleura. This area is about 1 to 1.5 cm with caseating necrosis known as Ghon's focus.o Ghon's focus is one of the component of Ghon's complex (primary complex), which consists of 3 components: -i) Ghon's focus (subpleural caseating lesion)ii) Caseating hilar lymph nodeiii) Draining lymphatics.Note - Due to early bactermia (bacillemia) seeding of tubercle bacilli may occur at apex to produce Simon's focus.